In myocardial infarction the infarct acquires hyperemic rim with an yellow centre at
1. 3-7 days
2. 10-20 days
3. 7-14 days
4. 1-2 hours

Correct answer: 1. 3-7 days

Explanation: 3 – 7 days Findings
Gross examination at border
Softening yellow-tan center Histopathology
(light microscopy)
Beginning of disintegration of dead muscle fibers
Necrosis of neutrophils
Beginning of macrophageremoval of dead cells at border